Priapism occurs in:
1. Snake bite
2. Rati poisoning
3. Cantharide poisoning
4. Arsenic poisoning

Correct answer: 3. Cantharide poisoning

Explanation: Ans. Cantharide poisoning